Most common congenital urethral abnormalities is:
1. Meatal stenosis
2. Hypospadias
3. Epispadias
4. Diverticula

Correct answer: 2. Hypospadias

Explanation: (Hypospadias): Ref: 1389-LB (1362-B &L 25th)HYPOSPADIAS: is the most common congenital malformation of the urethra* Glandular hypospadias is the most common type and perineal hypospadias is the most severe abnormality.* The floor of the urethra is absent partially or completely* The meatus is usually smaller than normal and patients may have dysuria* The prepuce is hood-shaped and is absent on the ventral surface* The glans is ill-developed and may have a ventral curvature (chordee) in glandular type there is no curvature but the severe defects have significant bending.* There may be other associated abnormalities:(I) The testis may be imperfectly descended(II) The scrotum may be bifid resulting in a female type appearance of the perineum* If the patients is a grow up person there may be sexual dysfunction* Avoid circumcision as prepuce may be used in procedure to correct the abnormality.